The narrowest part of the ureter is at the
1. Uretero - pelvic junction
2. Illiac vessel crossing
3. Pelvic uterer
4. Uretero - vesical junction

Correct answer: 4. Uretero - vesical junction

Explanation: Ureterovesical junction is the anatomical position where the ureters join the urinary bladder. This is the narrowest of the ureter. Ureters are surrounded by the valves called as ureterovesical valve which will prevent the vesicoureteral reflux. Ref - urologyhealth.org